A person died due to bullet injury. On post-mortem examination, a metallic bullet was found in his body. This bullet showed the presence of primary and markings. These markings can be used for
1. Identification of weapon
2. Knowing the range of firing
3. Severity of tissue damage
4. Knowing the time of crime

Correct answer: 1. Identification of weapon

Explanation: Ans. a. Identification of weapon "Primary and secondary marks on the surface of the bullet help in identification of the gun. Primary markings on the surface of the bullet tells about the 'make' or type of the gun used and the secondary marks which are due to some elevation or depression on the inner surface of the barrel of the gun will tell specifically about the particular gun which has been used when compared with similar markings of a bullet test-fired from the suspected gun "